Giving false evidence under oath is defined under section?
1. 161 IPC
2. 171 IPC
3. 181 IPC
4. 191 IPC

Correct answer: 4. 191 IPC

Explanation: Perjury: A witness who after taking an oath or making a solemn affirmation, willfully makes a false statement which he knows or believes to be the false (Sec. 191 IPC and Sec. 344 CrPC) is liable to be prosecuted for perjury under Sec. 193 IPC with imprisonment up to 7years and fine. Ref: Krishan Vij textbook of forensic medicine, 5th edition pg : 11